Drug of choice as antidiabetic in obese patient:
1. Glipizide
2. Insulin
3. Tolbutamide
4. Metformin

Correct answer: 4. Metformin

Explanation: Ans. D. MetforminMetformin is the first line treatment in case obese diabetic patient as it is known to cause weight loss. It doesn't cause the release of insulin and thus less chances of hypoglycemia.